Which of the following artery is located in the anatomical snuffbox?
1. Ulnar artery
2. Radial artery
3. Brachial artery
4. Interosseous artery

Correct answer: 2. Radial artery

Explanation: Anatomic snuffbox is a term used to describe a triangular skin depression on the lateral side of the wrist. Radial artery can be palpated within the snuffbox as it winds around the lateral margin of the wrist to reach the dorsum of hand.